Quality indicator of MCH services –
1. IMR
2. MMR
3. CMR
4. None

Correct answer: 1. IMR

Explanation: IMR is best indicator for:-


Health status of a community.
Level of living.
Effectiveness of MCH services.


IMR is second best indicator of socioeconomic status of country (under 5 mortality rate is more refined indicator for socioeconomic status).